Late complication of elbow dislocation
1. Median nerve injury
2. Brachial artery injury
3. Myositis ossificans
4. paresthesia on medial elbow

Correct answer: 3. Myositis ossificans

Explanation: Myositis ossificans: MYOSITIS OSSIFICANS * Acquired development of non neoplastic heterotopic ossification within soft tissues * Most often in response to localized trauma * Although the process most commonly develops within skeletal muscle, the term itself is a misnomer, because nonmuscular tissue may be involved, and inflammation is rare. * Adolescents & young adults, predominantly men, are affected most frequently, although it has been reported in infancy as well Treatment * Once diagnosis is established, usually clinically, any surgical biopsy is contraindicated in FOP. * No established medical therapy exists. * Pain medications * supportive measures -gentle occupational and/or physical therapy. Ref maheshwari 6/e p102